True about Fuchs endothelial dystrophy are all except:
1. Commonly seen in the elderly female
2. Symmetrical and unilateral condition
3. Cornea guttatae is characteristic
4. Patient typically complains of seeing halos in the morning

Correct answer: 2. Symmetrical and unilateral condition

Explanation: Ans. B: Symmetrical and unilateral condition Fuchs endothelial dystrophy is characterized by an asymmetrical, bilateral, slowly progressive edema of the cornea in elderly patients, particularly females. When inherited, the transmission is autosomal dominant. The root cause of the condition is a slowly progressive formation of guttate lesions between the corneal endothelium and the Descemet membrane. These wart like, anvil-shaped or mushroom-shaped excrescences are said to be abnormal elaborations of basement membrane and fibrillar collagen by distressed or dystrophic endothelial cells. As the lesions enlarge, the covering endothelial cells initially become stretched, and they eventually fall off. Characteristically patient complains of seeing halos in the morning, which disappear later in the day as the massaging effect of reflex blinking and evaporation leads to subsidence of corneal epithelial edema.